Which of the following disease is associated with the presence of macrophages containing large quantities of undigested and partially digested bacteria in the intestinal mucosa?
1. Amyloidosis
2. Whipple's disease
3. Vibrio cholerae infection
4. Immunoproliferative small intestinal disease

Correct answer: 2. Whipple's disease

Explanation: Small intestinal lamina propria laden with distended macrophages containing large quantities of undigested and partially digested bacteria is the hallmark feature of whipple's disease. The macrophages contain periodic acid schiff (PAS) positive granules and rod shaped bacilli. In whipple's disease, bacteria-laden macrophages can also be found in the mesenteric lymph nodes, synovial membranes of affected joints, cardiac valves and the brain. Ref: Robbins Pathologic Basis of Disease, 6th Edition, Pages 814-5